Prevalence of Schizophrenia is highest among which of the following
1. Non twin siblings
2. Child with h/o Schizophrenia in both parents
3. Dizogytic twins
4. Monozygotic twins

Correct answer: 4. Monozygotic twins

Explanation: Prevalence of Schizophrenia:



General
1%


Non - Twin siblings
8%


Dizygotic twins
12%


Monozygotic twins
47%


Child with h/o Schizophrenia in one parent
12%


Child with h/o Schizophrenia in both parents
40%